All of the following drugs are effective for cervical ripening during pregnancy except :
1. Prostaglandin E2
2. Oxytocin
3. Progesterone
4. Misoprostol

Correct answer: 3. Progesterone

Explanation: Ripening of cervix is changing the cervical matrix from sol to gel state by dissolving the collagen bundles making cervix soft. Drugs used for cervical ripening are: Prostaglandin - Dinoprostal gel and Misoprostal tablet Steroid receptor antagonist - Mifepristone, Onapristone Relaxin Glyceryl trinitrite, isosorbide mononitrate Oxytocin Ref: Williams Obs 24e pg 525,Datta Obs 9e pg 486.